Which vitamin deficiency is most commonly seen in a pregnant mother who is on phenytoin therapy for epilepsy?
1. Vitamin B6
2. Vitamin B12
3. Vitamin A
4. Folic acid

Correct answer: 4. Folic acid

Explanation: Phenytoin inhibits the enzyme intestinal conjugase, an important enzyme in folic Art. Metabolism. Folate is present in food in a polyglutamate form. This is converted into monoglutamates by intestinal conjugase to be absorbed in the jejunum. Phenytoin acts by inhibiting this enzyme thereby causing folate deficiency and thus megaloblastic anemia.